A patient presented with acute abdominal pain. On clinical suspicion the patient underwent cholecystectomy. On histopathological examination the finding is normal. Which of the following type of cells line the gallbladder?
1. Squamous epithelium
2. Simple columnar with brush border
3. Simple columnar
4. Simple columnar with stereocilia

Correct answer: 2. Simple columnar with brush border

Explanation: Columnar epithelium with a striated border is seen most typically in the small intestine, and with a brush border in the gallbladder.Also Know: Number of Cell LayersCell FormExamples of DistributionMain FunctionSimple (one layer)SquamousLining of vessels (endothelium). Serous lining of cavities; pericardium, pleura, peritoneum (mesothelium)Facilitates the movement of the viscera (mesothelium), active transport by pinocytosis (mesothelium and endothelium), secretion of biologically active molecules (mesothelium) CuboidalCovering the ovary, thyroidCovering, secretion ColumnarLining of intestine, gallbladderProtection, lubrication, absorption, secretionPseudostratified (layers of cells with nuclei at different levels; not all cells reach surface but all adhere to basal lamina) Lining of trachea, bronchi, nasal cavityProtection, secretion; cilia-mediated transport of particles trapped in mucus out of the air passagesStratified (two or more layers)Squamous keratinized (dry)EpidermisProtection; prevents water loss Squamous nonkeratinized (moist)Mouth, esophagus, larynx, vagina, anal canalProtection, secretion; prevents water loss CuboidalSweat glands, developing ovarian follicles.Protection, secretion TransitionalBladder, ureters, renal calycesProtection, distensibility ConjunctivaProtection